Insecticide treated Bed nets (ITBN) are treated with:-
1. Deltamethrin and Cyfluthrin
2. Diethyltoulamide
3. Pyrethrum
4. Malathion

Correct answer: 1. Deltamethrin and Cyfluthrin

Explanation: Chemicals used in ITBN programme: synthetic pyretheroids. It includes: Deltamethrin: 2.5% in dosage of 25 mg/m. Cyfluthrin: 5% in dosage of 50 mg/m. Other insecticides used: permethrin, Lambdacyhalothrin, Etofenprox, a-cypermethrin. Effectiveness of pyrethroids: for 6-12 months.